Which of the following is seen in obstructive jaundice-
1. Excess of urobilinogen in urine
2. Excess of unconjugated serum bilirubin
3. Excess of bile salts in the urine
4. All of the above

Correct answer: 3. Excess of bile salts in the urine